Absorption of glucose in intestine is by:
1. Secondary active transport
2. Facilitated diffusion
3. Primary active transport
4. None of the above

Correct answer: 1. Secondary active transport

Explanation: Ans. (a) Secondary active transport(Ref: Ganong 25th ed, p.45)Secondary active transport protein for glucose transport is Sodium Glucose Cotransporter (SGLT)SGLT 1-intestine and SGLT 2-Proximal convoluted tubule of kidney